Hand and foot syndrome is caused by which anticancer drug
1. Chloramphenicol
2. Cyclophosphamide
3. Mitomycin - C
4. Capecitabine

Correct answer: 4. Capecitabine

Explanation: Capecitabine and 5 - Flurouracil can cause Hand-Foot syndrome characterized by pain, redness and swelling over palms & soles.